Cutaneous (skin) Tuberculosis secondary to underlying tissue eg lymph node is called as
1. Lupus Vulgaris
2. Scrofuloderma
3. Spina Ventosa
4. Tuberculous Verrucosa Cutis

Correct answer: 2. Scrofuloderma

Explanation: B i.e. Scrofuloderma